Underlying internal malignancy is not shown by
1. Acanthosis nigricans & Annular erythema
2. Bullous pyoderma & migratory necrotizing erythema
3. Granuloma annulare
4. Erythema gyratum repens

Correct answer: 3. Granuloma annulare

Explanation: C i.e. Granuloma annulare